Magnan's symptoms is :
1. Illusion
2. Delusion
3. Formication
4. Depersonalization

Correct answer: 3. Formication

Explanation: C i.e. Formification